A 28 year old G2 P1 at 20 weeks gestation presents with fever cough, myalgia for 3 days. Her child at home also is sick. Patient is suspected to have Influenza. What is the best treatment to this patient.
1. Give Amantadine for 5 days
2. Give Amantadine for 10 days
3. Oseltamivir for 5 days
4. Oseltamivir and amantadine for 10 days

Correct answer: 3. Oseltamivir for 5 days

Explanation: Recommended treatment for influenza in pregnancy is 
Oseltamivir 75mg P.O twice daily
or
Zanamivir 10mg inhalational twice daily.